All the following are features of α - 1 - Antitrypsin deficiency except
1. Autosomal dominant
2. Mutation is SERPINA I gene
3. Emphysema with Cirrhosis can be seen
4. α1 - Antitrypsin is a serine protease inhibitor

Correct answer: 1. Autosomal dominant

Explanation: α - 1 Antitrypsin deficiency - Autosomal recessive.